The malunion of supracondylar fracture of the humerus most commonly leads to -
1. Flexion deformity
2. Cubitus varus
3. Cubitus valgus
4. Extension deformity

Correct answer: 2. Cubitus varus

Explanation: Cubitus varus, also known as a "gunstock deformity", is the most common complication of supracondylar fracture humerus, due to malunion.